Diapedisis is
1. Immigration of leucocytes through basement membrane
2. Immigration of leucocytes through the vessel wall
3. Aggregation of platelet at the site of inflammation
4. Autodigest of the cell

Correct answer: 2. Immigration of leucocytes through the vessel wall

Explanation: Ref ref Robbins 9/e p76 * After transient vasoconstriction (lasting only for seconds), arteriolar vasodilation occurs, resulting in locally increased blood flow and engorgement of the down-stream capillary beds (Fig. 2-2). This vascular expansion is the cause of the redness (erythema) and warmth characteristic of acute inflammation, and men- tioned previously as two of the cardinal signs of inflammation. * The microvasculature becomes more permeable, and protein-rich fluid moves into the extravascular tissues. This causes the red cells in the flowing blood to become more concentrated, thereby increasing blood viscosity and slowing the circulation. These changes are reflected microscopically by numerous dilated small vessels packed with red blood cells, called stasis.